Janani Suraksha Yojana, under the National Rural Health Mission (NRHM) includes which of the objectives?
1. Tetanus immunization
2. Institutional deliveries
3. Iron supplementation
4. Abortions

Correct answer: 2. Institutional deliveries

Explanation: Janani Suraksha Yojana (JSY) is a safe motherhood intervention under the National Rural Health Mission (NRHM) being implemented with the objective of reducing maternal and neo-natal mortality by promoting institutional delivery among the poor pregnant women. The success of the scheme would be determined by the increase in institutional delivery among the poor families.